The angle that tympanic membrane makes with the floor of meatus is
1. 15 o
2. 25 o
3. 45 o
4. 55 o

Correct answer: 4. 55 o

Explanation: Tympanic membrane is placed obliquely at an angle of 55 degrees with the floor of the meatus. Ref : B D Chaurasia's Human Anatomy , seventh edition , volume 3 , pg. no., 285.